The drug Vorapaxar acts by primarily inhibiting Platelet aggregation caused by which of the following substance ?
1. Thromboxane
2. ADP
3. Thrombin
4. Prostacyclin

Correct answer: 3. Thrombin

Explanation: VORAPAXAR: MOA : Inhibits PAR-1 receptors leading to Anti-Platelet action. On the surface of the platelets, PAR-1 receptors are present, Thrombin binds to this receptor and result in activation of platelets, so drugs are developed to inhibit this PAR-1 receptor leading Anti-Platelet action by inhibiting aggregation caused by Thrombin.